Rx for stage 1 mycosis fungoids -
1. PUVA
2. Biological response modifiers
3. Systemic chemotherapy
4. Extracorporial photopheresis

Correct answer: 1. PUVA

Explanation: Ans. is 'a' i.e., PUVA Treatment of cutaneous T-cell lymphomaStage 1A-IIA (Patch/Plaque)o No treatmento PUVA or UVB therapy for patches +/- INF alfao Topical corticosteroidso Local radiation therapy (single lesion) or total skin electron beam radiation (TSEB) (generalised plaues)o Topical mechlormethamineorcarmustineo Oral methotrexateStage 1IB (skin tumours)o PUVA-IFN alfao Oral retinoids + PUVA / IFN alfao TSEB & local radiationStage IIIo Topical mechlormethamine or carmustineo PUVA + IFN alfao Oral methotrexateo Systemic chemotherapyo TSEB & local radiationo Extracorporeal photopheresisStage IVo Oral methotrexateo Systemic chemotherapyo Oral bexaroteneo Biological response modifiers (denileukin or IL-12)o TSEB & local radiation